True about apnoea in a Preterm baby are all, EXFEPT:
1. Cessation of breathing for < 20sec
2. Associated with bradycardia
3. Leads to hypoxia
4. May cause cyanosis

Correct answer: 1. Cessation of breathing for < 20sec

Explanation: Apnea is defined as the cessation of breathing for more than 20 seconds or apnea or the cessation of breathing for less than 20 seconds if it is accompanied by bradycardia or oxygen (O2) desaturation. Bradycardia in a premature neonate is considered clinically significant when the heart rate slows by least 30 bpm from the resting heart rate. The presence and duration of central cyanosis should also be noted which is significant.